The industry, with the highest accidental death rate and long held to be the most dangerous occupation is –
1. Agriculture
2. Construction
3. Mining and quarrying
4. Trade

Correct answer: 3. Mining and quarrying

Explanation: Accidents are a common features in most industries.
In fact, some industries are known for accidents, eg: coal and other mining industries, quarrying, construction work.